The following is/are concerned with interception of habit:
1. Massler’s hypothesis
2. Dunlop beta hypothesis
3. Butler’s theory
4. All of the above

Correct answer: 2. Dunlop beta hypothesis